All are primary level of prevention EXCEPT:
1. Installation of sanitary latrines
2. Immunization
3. Provision of safe water
4. Mass treatment

Correct answer: 4. Mass treatment

Explanation: Ans. D i.e. Mass treatment Primary prevention It refers to: - Health promotion, which fosters wellness in general and thus reduces the likelihood of disease, disability, and premature death in a nonspecific manner, as well as - Specific protection against the inception of disease. Examples of the former include the: -- Promotion of physical activity and prudent dietary practices; - Smoking avoidance or cessation; and the - Mitigation of stress. Immunization is a clear example of the latter.